Snow-flake cataract seen in
1. Diabetes
2. Trauma
3. Chalcosis
4. Posterior subcapsular

Correct answer: 1. Diabetes

Explanation: Ans. is 'a' i.e Diabetes In diabetes.Senile cataractappears at an early age and progresses rapidlyTrue diabetic cataract:rare condition,usually occuring in young adults,bilateral known as Snow flake cataract or snow storm cataractOther imp types of cataractRosette shaped cataract*-TraumaSunflower cataract*-Chalcosis, Wilsons diseaseOil drop cataract*-GalactosemiaChristmas tree*-Myotonic dystrophicaBread crumb* posterior capsular-Complicated